Cyanotic heart disease with left axis deviation is:-
1. Tricuspid atresia
2. TGA
3. TAPVC
4. Ebstein anomaly

Correct answer: 1. Tricuspid atresia

Explanation: --> Remember, tricuspid atresia is the only cyanotic heart disease with left axis deviation. Tricuspid atresia: Congenital absence of Tricuspid valve. Right ventricle is hypoplastic Features: - Left ventricular type of apical impulse - Large 'a' waves in jugular venous pulse - Enlarged liver with presystolic pulsations - ECG : --> Left axis deviation & left ventricular hypertrophy --> Mean QRS axis is -450 Patients with tricuspid atresia follow a course similar to TOF OTHER OPTIONS: TGA --> Right axis deviation Ebstein anomaly --> Himalayan P waves